Anti CD20 is
1. Alemtuzumab
2. Bevacizumab
3. Gemtuzumab
4. Tositumomab

Correct answer: 4. Tositumomab

Explanation: anti cd20 mabs: KD Tripathi 8th ed